Which of the following contrast agents is preferred in a patient with a decreased renal function to avoid contrast nephropathy –
1. Acetylcystine
2. Fenoldapam
3. Mannitol
4. Low osmolar contrast

Correct answer: 4. Low osmolar contrast

Explanation: Low osmolar contrast agents are the contrast agents of choice in patients with pre-existing renal insufficiency.
Acetylcysteine and fenoldopam may also be used to reduce contrast-induced nephropathy but these are not contrast agents. Further, these drugs have limited value for their use for this indication